Diagnosis of Asherman syndrome is done by all of the following except
1. Endometrial culture
2. Hysteroscopy
3. Hysterosalpingography
4. Sonosalpingography

Correct answer: 1. Endometrial culture

Explanation: Destruction of the endometrium usually follows vigorous curettage for postpartum Hemorrhage. After therapeutic abortion getting complicated by infection Overzealous fractional curettage for gynecological diagnosis Tuberculosis is a common cause of asherman syndrome in India which primariliy does this by endometrial scarring his diagnosis is confirmed by hysterosalpingography or by direct visual examination of the endometrial scarring or synechiae using a hysteroscope.